All of the following are superficial relations of hyoglossus muscle except
1. Hypoglossal nerve
2. Lingual nerve
3. Styloglossus muscle
4. Stylohyoid ligament

Correct answer: 4. Stylohyoid ligament

Explanation: Stylohyoid ligament lies deep to hyoglossus muscle.